All of the following feature may be seen in thrombotic thrombocytopenic purpura, except :
1. Fever
2. Haemolysis
3. Hypertension
4. Low platelets count

Correct answer: 3. Hypertension

Explanation: Answer is C (Hypertension): Blood pressure is normal in Thrombotic Thrombocytopenic purpura. Thrombotic Thrombocvtopenic purpura is a disorder of 'vessel wall' (--)characterised by lesions in n\\ arious organs that initiate formation of localised platelet thrombi and fibrin deposits at various s Clinical Pentad of TTP Microangiopathic Thrombocytopenia" (due to consumption of platelets) Decreased Renal Function (--) (due deposits in the Renal Disturbed Neurological function e Characteristically diffuse and Fever? Hemolytic Anemia Q (Coomb's negative) - Haemolysis e Vasculature.) non focal eg. - Fragmentation Q of RBC's - Confusion - Increased LDH (elevated due to intra- vascular hemolysis) Q - Aphasia - Alteration in consciousness Tests of coagulation are essentially normal Q Normal PT Q - Normal APTTQ - Normal Fibrinogen concentrationQ - Normal Fibrin degradation ProductsQ Thus: PENTAD as mentioned above + normal coagulation tests: PATHOGNOMIC OF TTP